TOLL Like Receptor (TLR-5) binds to :
1. Bacterial peptidoglycan
2. ds RNA of viruses
3. Flagella of bacteria
4. Bacterial DNA

Correct answer: 3. Flagella of bacteria

Explanation: TLR-2 binds to bacterial peptidoglycan
TLR-3 binds to dsRNA of viruses
TLR-4 binds to LPS of Gram -ve bacteria
TLR-5 binds to flagella of bacteria